Extramammary Paget's disease is seen in:-
1. Ovary
2. Uterus
3. Vagina
4. Vulva

Correct answer: 4. Vulva

Explanation: Paget's disease - In extramammary involvement commonest site affected (vulva) - Presence of pruritis/red /crusted lesion/map like area usually on labia majora - Not associated with malignancy A. Epidermis is infiltrated by large cells With pale pink cytoplasm spreading along basal surface of squamous epithelium B. Immuno staining for cytokeratin7 highlights the intraepidermal paget cells